It has been hypothesized that their exists a strong association between haemolytic uraemic syndrome:
1. Salmonellae
2. Bacteriophages and corynebacteria
3. Verocytotoxin producing E. coli
4. Clostridium difficle

Correct answer: 3. Verocytotoxin producing E. coli

Explanation: Ans. is 'c' i.e., Verocytotoxin producing E. coliEHEC (Enterohemorrhagic E. coliA/erocytotoxin producing E coli) - produces verotoxin (VT) whose major target is vascular endothelial cells - Hemolytic uremic syndrome (HUS), Hemorrhagic colitis - .